In agranuloma , epthiloid cells and giant cells are derived from
1. T lymphocytes
2. Monocytes marcophages
3. B lymphocytes
4. Mast cells

Correct answer: 2. Monocytes marcophages

Explanation: ref Robbins 9/e p97 All granulomas, regardless of cause, may contain additional cells and matrix. These include lymphocytes, neutrophils, eosinophils, multinucleated giant cells, fibroblasts and collagen (fibrosis). The additional cells are sometimes a clue to the cause of thegranuloma. Macrophage and monocytes are also present